True about "Major depression" include the following except-
1. Two times more common in men than women
2. Incidence increases with increasing age
3. In females affected age is adulthood
4. Is genetic origin

Correct answer: 1. Two times more common in men than women

Explanation: Depression is more common in middle-aged adult women (25-40 years).
Incidence of depression increases with age.
Genetic factors are important with concordance rate for monozygotic twins is 46% and for dizygotic twins is 20%.